Patient with genotype X0 will have following phenotype, except:
1. Tall stature
2. Broad chest
3. Webbed neck
4. Lymphedema

Correct answer: 1. Tall stature

Explanation: Ans. Tall stature